Testis descends the in inguinal canal during  - month
1. 5th month
2. 6th month
3. 7th month
4. 8th month

Correct answer: 3. 7th month

Explanation: Testies descent :

4th month - itiac fossa.
7th month - deep inginal ring.
7th and 8th month - Inguinal canal.